What is the drug of choice for scrub typhus?
1. Erythromycin
2. Doxycycline
3. Ciprofloxacin
4. Linezolid

Correct answer: 2. Doxycycline

Explanation: Patients are treated with: 1. Doxycycline 100mg BD for 2 weeks 2. Azithromycin 500 mg OD for 3 days 3. Chloramphenicol 500mg QID for 2 weeks